Toxoplasmosis in the fetus can be best confirmed by -
1. IgM Abs against toxoplasmosis in the mother
2. IgM Abs against toxoplasmosis in the fetus
3. IgG Abs against toxoplasmosis in the mother
4. IgG Abs against toxoplasmosis in the fetus

Correct answer: 2. IgM Abs against toxoplasmosis in the fetus

Explanation: Diagnosis of Congenital toxoplasmosis: Presence of IgM Abs in fetus indicates congenital infection. The presence of circulating IgA favors the diagnosis of an acute infection as IgA-ELISA is more sensitive than IgM-ELISA for detecting congenital infection in the fetus. Toxoplasma Ag in amniotic fluid, RTPCR to detect Toxoplasma genes.